A segment of a eukaryotic gene that is not represented in the mature mRNA, known as
1. Intron
2. Exon
3. Plasmid
4. TATA box

Correct answer: 1. Intron

Explanation: The primary transcript are very long, they have molecular weights more than 10^7The primary transcript contains coding regions -extrons and non-coding regions -intronsThe introns sequence are cleaved and the exons are spliced to form mature mRNA moleculeRef: DM Vasudevan, 7th edition, page no: 591